In ataxia, telengiectasia which is seen-
1. Ig G absent
2. Ig M absent
3. Ig A absent
4. Ig A structure abnormality

Correct answer: 3. Ig A absent